Membrane attack complex is formed by all except?
1. C3
2. C5
3. C7
4. C9

Correct answer: 1. C3

Explanation: Ans. (a) C3